Subepidermal bullae on trunk and flexural surface with linear C3/IgG basement membrane deposite are feature of –
1. Bullous pemphigoid
2. Pemphigus vulgaris
3. Linear Ig A disease
4. Dermatitis herpatifonnis

Correct answer: 1. Bullous pemphigoid

Explanation: Bullous pemphigoid shows :- 

Subepidermal bullae;
C3 and IgG linear band at denno - epidermal junction (Basement membrane).